Criminal abortion delayed cause of death -
1. Shock
2. Hemorrhage
3. Septicemia
4. Fat embolism

Correct answer: 3. Septicemia

Explanation: Ref: synopsis of forensic medicine and toxicology (K.S.Narayan Reddy) 28th edition, page no. 218 Causes of Death:- Immediate cause : Vagal inhibition (shock) Hemorrhage Air embolism Fat embolism Delayed cause: Septicemia Pyaemia General peritonitis Confined local infection and toxaemia Tetanus Remote cause: Jaundice and renal failure Bacterial endocarditis Pulmonary embolism